Which of the following may occur in common peroneal nerve injury -
1. Loss of plantar flexion
2. Foot drop
3. Loss of sensation over sole
4. Inversion of foot affected

Correct answer: 2. Foot drop

Explanation: Common peroneal nerve is commonest nerve to be paralysed . Can be injury due to fracture neck of fibula, lathi injury on lateral side of knee joint, due to plaster on leg. Effect of injury: Motor loss i.e. Foot drop (loss of dorsiflexion or extension) Sensory loss at back and lateral side of leg, most of dorsum of foot. Paralysis of anterior compartment muscles of leg Loss of foot eversion Sole is supplied by the branches (medial & lateral plantar nerve) of posterior tibial nerve.